Novy-McNeal-Nicolle INNN] medium is used for:
1. Giardia lamblia
2. Leishmania donovani
3. Echinococus
4. Toxoplasma gondii

Correct answer: 2. Leishmania donovani

Explanation: Ans. B: Leishmania donovani A variety of media have been used for the culture of leishmanias. These can be divided into three main categories: semisolid, biphasic, and liquid. While biphasic and semisolid culture media need blood, an important factor for the reproduction of parasites, most liquid media require fetal calf serum (FCS) or erythrocyte lysate. NNN medium is a solid medium with a little water of condensation on the top of the slant. The organisms crowd together in this water of condensation. Biphasic Novy-MacNeal-Nicolle (NNN) culture medium, which has been used for a long time, is preferred because it is far cheaper than commercial media. Although it is quite suitable for the isolation of parasites, in this medium samples taken from leishmaniosis patients fail to produce a great number of promastigotes in a short time.